During intrauterine life, development of which of the following gland is earliest:
1. Parotid gland.
2. Submaxillary gland.
3. Sublingual gland.
4. Submandibular gland.

Correct answer: 1. Parotid gland.

Explanation: Parotid: Development – 4-6 weeks IUL
Submandibular: Development – 6th week IUL
Sublingual: Development – 8-12 weeks IUL